Tumbling motility is characteristic of the following organism:
1. Proteus vulgaris
2. Proteus mirabilis
3. Vibrio
4. Listeria

Correct answer: 4. Listeria

Explanation: Listeria monocytogenes is a Gram-positive rod with some bacteriologic features that resemble those of both corynebacteria and streptococci. Listeria species are catalase-positive, which distinguishes them from streptococci, and they produce a characteristic tumbling motility in fluid media at temperatures below 30degC, which distinguishes them from corynebacteria. Listeria are not difficult to grow in culture, producing small, beta-hemolytic colonies on blood agar. This species is able to grow slowly in the cold even at temperatures as low as 1degC. Ref: Ray C.G., Ryan K.J. (2010). Chapter 26. Corynebacterium, Listeria, and Bacillus. In C.G. Ray, K.J. Ryan (Eds), Sherris Medical Microbiology, 5e.